Enzyme increased in rickets?
1. Acid phosphatase
2. Alkaline phosphatase
3. LDH
4. SGOT

Correct answer: 2. Alkaline phosphatase

Explanation: Ans. b (Alkaline phosphatase). (Ref. Nelson, Paediatrics 17th/pg.281)Alkaline phosphatase of serum level, < 200 IU/dl in normal children, increases to >500 IU/dl in mild rickets and much higher levels are not uncommon. However, they may be normal in protein or zinc deficiency with rickets. Ca2+PhosphateAlkaline phosphatasePTHHyperparathyroidism||||Paget's disease of boneN|N|||NVitamin D intoxication||N||Osteomalacia/Rickets||||OsteoporosisNNNNRenal insufficiency||N|Note: Osteoblastic metastases are indicated by lower back pain and a t in serum alkaline phosphatase and PSA.